Night mares are seen in
1. Adjustment disorder
2. Post Traumatic stress disorder
3. Dissociation
4. Obsessive compulsive disorder

Correct answer: 2. Post Traumatic stress disorder

Explanation: Patient with post traumatic stress disorder experiences dreams about trauma called as "nightmares".